A research physiologist is performing an experiment in which he stimulates sympathetic cholinergic neurons. Which of the following responses is expected?
1. Bradycardia
2. Bronchoconstriction
3. Diaphoresis
4. Increased gastrointestinal motility

Correct answer: 3. Diaphoresis

Explanation: The vast majority of sweat glands in the body are innervated by sympathetic cholinergic neurons. Sympathetic cholinergic neurons are sympathetic postganglionic neurons that happen to release acetylcholine instead of norepinephrine. Bradycardia, bronchoconstriction, and increased gastrointestinal motility would all result from stimulating parasympathetic cholinergic neurons.